Little area is situated in nasal cavity in -
1. Anterior inferior
2. Anterior superior
3. Posterior inferior
4. Posterior superior

Correct answer: 1. Anterior inferior